HSV-2 (Herpes simplex) causes ?
1. Oral ulcers
2. Genital ulcers
3. U.T.I.
4. Pharyngitis

Correct answer: 2. Genital ulcers

Explanation: Ans. is 'b' i.e., Genital ulcer